Fracture neck Humerus is common in:
1. Elderly woman
2. Young lady
3. Elderly man
4. All of these

Correct answer: 1. Elderly woman

Explanation: A i.e. Elderly women